About NPCB, all are true except:
1. Increase cataract surgery rate to 450 operations per lakh population
2. Intra-ocular lens implantation in more than 80 percent cataract surgery cases
3. 100% coverage of vitamin A prophylaxis doses from 9 months to 3 years of age
4. Development of 50 pediatric ophthalmic units

Correct answer: 3. 100% coverage of vitamin A prophylaxis doses from 9 months to 3 years of age

Explanation: Ans is 'c' i.e. 100% coverage of vitamin A prophylaxis doses from 9 months to 3 years of age The National Programme for Control of Blindness (NPCB) was launched by the Government of India, Ministry of Health and Family Welfare, in the year 1976 as a 100% centrally sponsored scheme/Programme with the goal of reducing the prevalence of blindness from 1.49% to 0.3% by the year 2000 - this was later revised to the year 2020 in conjunction with VISION 2020Targets for Tenth five year plan:To increase the cataract surgery rate to 450 operations per lakh population;Intra-ocular lens implantation in more than 80% cataract surgery cases by 2007; Development of 50 pediatric ophthalmology units;Facilities for early diagnosis and treatment of glaucoma and diabetic retinopathy;Setting up 20,000 Vision Centres in rural areas;Development of 25 fully operational eye bank network; andDeveloping human resources and institutional capacity for eye care by providing training to eye surgeons and other personnel at various levels, supply of ophthalmic equipments and grant-in-aid to NGOs.Also see:School Eye Screening Programme under NPCB Under the National Programme for Control of Blindness, all children aged 10-14 years will be screened for refractive errors by trained teachers.Children who cannot read the 6/9 line with any eye are then sent to the ophthalmic assistant of the CHC for refraction test.Children needing spectacles are then provided free spectacles by opticians who have been contracted by the NPCB.